Prevalence is a
1. Rate
2. Ratio
3. Proportion
4. Mean

Correct answer: 3. Proportion

Explanation: Ref: Parks 23rd edition pg 61 Prevalence is a proportion. Time is not mentioned. Point prevalence of a disease is defined as the number of all current cases (old and new) of a disease at one point of time, in relation to a defined population.